Bohler's angle is decreased in fracture of-
1. Calcaneum
2. Talus
3. Navicular
4. Cuboid

Correct answer: 1. Calcaneum

Explanation: *Bohler's Tuber angle and crucial angle of Gissane are measured for Intra Articular Fractures of Calcaneum. Ref: Apley's 9th/e p.926